The tissue of which lesion has been described as resembling a 'blood soaked sponge with large pores'?
1. Cavernous hemangioma
2. Capillary hernangioma
3. Aneurysmal bone cyst
4. Eruption hematoma

Correct answer: 3. Aneurysmal bone cyst